Which test is used to assess Neonatal hearing loss?
1. Otoacoustic emissions
2. Rinne's Test
3. SISI
4. Calorie Test

Correct answer: 1. Otoacoustic emissions

Explanation: Ans. is 'a' i.e., Otoacoustic emissions Tests to assess neonatal hearingloss1) Otoacoustic emissions2) Auditory Brainstem response {BERA}3) Automated Auditory Brainstem response